Triple helix is found in -
1. Cystine
2. Collagen
3. Pectin
4. DNA

Correct answer: 2. Collagen

Explanation: Ans is 'b' i.e., Collagen Collageno Collegen is the most common protein in the animal world,o It is a component of ECM.o The collegens are composed of a triple helix of three polypeptide a-chains.o It provides tensile strength to tissues.o Collegen type IV with laminin is the main component of basement membrane.o Fibrillar collegen is synthesized from procollegen.o First there is hydroxylation of lysin & proline residues of procollegen.o After hydroxylation of lysine and proline residues of procollegen three procollegen chains align in phase to form triple helix.o After that oxidation of lysine & hydroxylysine by lysyl oxidase, and proline & hydroxyproline by prolyl oxidase, take place - this results in cross-linking between the chains of adjacent molecules, thus stabilizing the array thatis characteristic of collegen.o Cross-linking is a major contributor of the tenile strength of collegen.o Vit 'c'is requiredfor hydroxylation of lysine & proline residues ofprocollegen -In scurvy (Vit 'c' deficiency) poor wound healing is due to inhibition of this step.